PR interval in ECG shows?
1. Ventricular depolarization
2. Ventricular Repolarization
3. Conduction through AV node.
4. Atrial Repolarization

Correct answer: 3. Conduction through AV node.

Explanation: Normal ECG waves and Intervals: ECG wave/Interval Characteristics 1. P Wave Reflects Atrial Depolarization (activation) 2. QRS complex Depolarization of ventricles 3. T Wave Repolarization of ventricles 4. PR Interval Atrial depolarization and conduction through AV node 5. QT Interval Total duration of Ventricular depolarization and repolarization 6. ST segment Plateau phase of ventricular action potential